A peripheral smear with increased neutrophils, basophils, eosinophils, and platelets is highly suggestive of:
1. Acute myeloid leukemia
2. Acute lymphoblastic leukemia
3. Chronic myelogenous leukemia
4. Myelodysplastic syndrome

Correct answer: 3. Chronic myelogenous leukemia

Explanation: The peripheral blood picture of this patient is quite characteristic of chronic myeloid leukemia.